Alkalinization of urine is done for:
1. Weak acid drugs
2. Weak basics drugs
3. Strong acidic drugs
4. Strong basic drugs

Correct answer: 1. Weak acid drugs